Which of the following statements is not true regarding hemolytic uremic syndrome ?
1. It is a microangiopathic hemolytic anemia
2. Thrombocytopenia and schistocytes are seen in the peripheral blood smear
3. Remal insufficiency is a complication
4. Direct coombs test is positive

Correct answer: 4. Direct coombs test is positive

Explanation: Hemolytic-uremic syndrome (HUS) is a clinical syndrome characterized by progressive renal failure that is associated with microangiopathic (nonimmune, Coombs-negative) In hemolytic uremic syndrome coomb's test is usually negative except if associated with s.pneumoniae. Reference: GHAI Essential pediatrics, 8th edition